Plasma volume is measured by ?
1. Inulin
2. Evans blue
3. Mannitol
4. D2O

Correct answer: 2. Evans blue

Explanation: Ans. is 'b' i.e., Evans blue